Hypothalamic amenorrhoea is seen in :
1. Asherman syndrome
2. Stein leventhal syndrome
3. Kallman syndrome
4. Sheehan's syndrome

Correct answer: 3. Kallman syndrome

Explanation: Ans. is c i.e. Kallman Syndrome Lets see all options one by one. Asherman's syndrome Is caused by endometrial synechiae most common after an over zealous curettage. The defect lies in the endometrium (Compartment I) Stein Leventhal syndrome The polycystic ovarian disease involves the ovaries (Compartment II) Sheehan's syndrome This syndrome results from ischaemic necrosis of the Anterior Pituitary (Compartment Ill) Kaltman syndrome This syndrome results from defective Hypothalamic GnRH synthesis and is associated with anosmia or hyposmia due to olfactory bulb agenesis or hypoplasia. (i.e. Kaltman syndrome involves hypothalamus or Compartment IV). Also know : Kaltman syndrome may be associated with : Optic atrophydeg * Color blindnessdeg Nerve deafness * Cleft palate Renal anomalies * Cryptorchidismdeg Neurologic abnormalities Males with Kaltman syndrome present with : Delayed puberty I Due to low LH, FSH and testosterone levels Micropenis Anosmia Females present with : - Primary amenorrheadeg Failure of secondary sexual developmentdeg - Anosmia. Management : Cyclical estrogen / progestin therapy or gonadotropins. Extra Edge Other congenital hypothalamic syndromes leading to Amenorrhea are : Prader willi syndromedeg * Laurence Moon Biedl syndromedeg Septo-optic dysplasiadeg * Frohlich's syndrome.deg